Middle cerebellar Penducle transmits..... fibres
1. Ponto cerebellar pathway
2. Tectospinal pathway
3. Spino cerebellar pathway
4. Middle cerebellar pathway

Correct answer: 1. Ponto cerebellar pathway

Explanation: A i.e. Pontocerebellar